The actions of pure gastrin includes
1. Stimulation of pepsin secretion
2. Stimulation of gastric motility
3. Increased flow of hepatic bile
4. All of the above

Correct answer: 4. All of the above